Arthritis mutilans is seen in:
1. OA
2. Rheumatoid arthritis
3. Reiters syndrome
4. Psoriatic Arthropathy

Correct answer: 4. Psoriatic Arthropathy

Explanation: Psoriatic Arthropathy